True about diabetes in pregnancy are all except:
1. Glucose challenge test is done between 24-28 weeks
2. 50 gm of sugar is given for screening test
3. Insulin resistance improves with pregnancy
4. Diabetes control before conception is important to prevent malformation

Correct answer: 3. Insulin resistance improves with pregnancy

Explanation: Ans. is c, i.e. Insulin resistance improves with pregnancyRef. Dutta 7/e, p 282 for option a, b, 283 for option c and 285 for option d; Fernando Arias 3/e, p 440, 442, 443In pregnancy, the insulin sensitivity decreases i.e. insulin resistance increases as the gestation advances mainly due to anti insulin signals produced by placenta (mainly human placental lactogen).Congenital malformations in a diabetic mother occur within first 8 weeks of gestation when most women are just beginning prenatal care. Therefore preconceptional counselling is very essential in a diabetic motherScreening for diabetes during pregnancy is done by glucose challenges test at 24-28 weeks of pregnancy.